All the following can be used as irritant poisons, but which one of them when taken internally is not fatal?
1. Semecarpus Anacardium
2. Croton Tiglium
3. Calotropis Gigantea
4. Capsicum Annum

Correct answer: 4. Capsicum Annum

Explanation: apsicum Annuum (Chillies) when applied on the skin or mucosa cause irritation and pain but is not fatal even when taken internally. Also know Croton Tiglium - fatal dose is 4 seeds Semecarpus Anacardium - fatal dose is 5 - 10 gm Cantharides - fatal dose is 15 - 50 mh Ref: Textbook of Forensic Medicine and Toxicology by Narayan Reddy, Edition 21, Page - 480.